A female, Lalita, aged 26 years takes 100 tablets of paracetamol. Treatment of choice is:
1. Lavage with charcoal
2. Dialysis
3. Alkaline diuresis
4. Acetylcysteine

Correct answer: 4. Acetylcysteine

Explanation: Ans. Acetylcysteine